Chandler's index is -
1. No. of eggs of hookworm in per gram stool
2. No. of eggs of hookworm in per gram soil
3. No. of eggs of hook work in 100 gram soil
4. Percentage of stool specimens positive for hookworms

Correct answer: 1. No. of eggs of hookworm in per gram stool